Wernicke's area is located in
1. Inferior frontal gyrus
2. Superior temporal gyrus
3. Inferior temporal gyrus
4. Cingulate gyrus

Correct answer: 2. Superior temporal gyrus

Explanation: Wernicke's area (area 22) is located in superior temporal gyrus behind area 41. It is concerned with comprehension i.e. interpretation and understanding of auditory and visual information. The Wernicke's area sends information arcuate fasciculus to the Broca's area, where detailed and coordinated pattern for vocalization occurs. Ref: guyton and hall textbook of medical physiology 12 edition page number:841,842,843